In DIC, which is/are seen -
1. Normal APTT
2. Increased PT
3. Increased factor VIII
4. None

Correct answer: 2. Increased PT

Explanation: Ans. is 'b' i.e., Increased PT; Laboratory findings in DIC o Low platelet count. o Blood film shows microangiopathic haemolytic anaemia. There is presence of fragmented R.B.C. due to damage caused by trapping and passage through fibrin thrombi. o PT, thrombin time, and Activated Partial thromboplastin time all are prolonged. o Plasma fibrinogen level decreased. o Fibrin degradation product (FDPS) are raised. o Factor V and factor VIII decreased in concentration.